Which drug is the most useful in treating an episode of antipsychotic induced acute dystonia ?
1. Lorazepam
2. Haloperidol
3. Promethazine
4. Phenobarbitone

Correct answer: 3. Promethazine

Explanation: Ans. is 'c' i.e., Promethazine o Antihistaminics have central anticholinergic property (e.g. promethazine) and central anticholinergic is the drug of choice for acute dystonia.